All of the following are present in cryoprecipitate, except:
1. Von Willebrand Factor
2. Factor I
3. Factor VIII
4. Factor V

Correct answer: 4. Factor V

Explanation: Cryoprecipitate contains - Factor VIII (about 80 units), von Willebrand factor, fibrinogen (factor I), Factor XIII, and fibronectin. Cryoprecipitate does not contain factor V.